Interleukin secreted by macrophages, stimulating lymphocytes is:
1. IL-1
2. INF alpha
3. TNF alpha
4. IL-6

Correct answer: 1. IL-1

Explanation: Macrophages release IL-1 which stimulates the T-helper cells.
The T-cells in response proliferate and release IL-2 which in turn stimulates still further T-cell proliferation and B cell proliferation and differentiation into plasma cells.

Thus

Macrophages release→IL-1*
T-helper cells release→ IL-2*